All are true about Neuroendocrine tumor of pancreas except:
1. Insulinoma is MC
2. VIP cause diarrhea
3. Diarrhea is MC symptom of gastrinoma
4. Somatostatinoma cause gall stone formation

Correct answer: 3. Diarrhea is MC symptom of gastrinoma

Explanation: “Insulinomas are the most common pancreatic endocrine neoplasms and present with a typical clinical syndrome known as Whipple’s triad" - Schwartz
Gastrinoma (Zollinger-Ellison Syndrome); The most common presenting symptoms are an abdominal pain (70-100%), diarrhea (37-73%). and gastroesophageal reflux disease (GERD) (30- 35%); 10-20% have diarrhea only"-Harrison
Table: GI Neuroendocrine Tumor Syndrome